Internal jugular vein pressure determines pressure of:
1. RA
2. RV
3. LA
4. LV

Correct answer: 1. RA

Explanation: Ans. (a) Right atrium (RA)Ref.-.chapter 227: Harrison 18th edition# NORMAL JVP =5-8 CM OF WATER* Elevated JVP is indicative of right sided CHF* Kussmaul sign is seen in constrictive pericarditis* Kussmaul sign is not seen in cardiac tamponade* Canon a waves are seen AV dissociation/ ventricular tachycardia/ junctional tachycardia